Which is false of Horse shoe Kidney -a) Spider like appearance in IVPb) Ureteral Obstruction is commonc) Lower calyx is reversedd) Heminephrectomy improves function
1. b
2. c
3. ac
4. ad

Correct answer: 4. ad